Acidophils secrete:
1. GH
2. TSH
3. ACTH
4. FSH

Correct answer: 1. GH

Explanation: Acidophilic cell: Lactotrophs (10-30%) and Somatotrophs (50%).
Basophilic cell: Gonadotrophs (20%), Corticotrophs (10%) and Thyrotrophs (5%).

Somatotrophs – human growth hormone (hGH). Corticotropes – adrenocorticotropin (ACTH).
Thyrotrophs– thyroid-stimulating hormone (TSH).
Gonadotrophs – gonadotropic hormones, which include both luteinizing hormone (LH) and follicle-stimulating hormones (FSH).
Lactotrophs – prolactin (PRL).

 
Reference: GUYTON AND HALL TEXTBOOK OF MEDICAL PHYSIOLOGY, THIRTEENTH EDITION(INTERNATIONAL EDITION ) page no 940